IgE receptor present on?
1. Mast cell
2. NK cell
3. B cell
4. T cell

Correct answer: 1. Mast cell

Explanation: Ans. (a) Mast cell(Ref: Robbins 9th/pg 200; 8th/pg 198)Mast cells have Fc receptor for IgE; Antigen binding to it results in the activation of mast cells leading to type I hypersensitivity.